subjective state of restlessness and fidgetiness after starting antipsychotics is called as
1. dystonia
2. catatonia
3. cataplexy
4. akathisia

Correct answer: 4. akathisia

Explanation: Acute akathisia * It was coined by Haskovec * Subjective state of restlessness and fidgety behaviour * <72 hours of starting antipsychotics * DD=agitated depression * If this is misdiagnosed as agitation and if antipsychotic is hiked there will be worsening of symptoms Propranolol id the TOC ref.kaplon and sadock, synopsis of psychiatry, 11 th edition, pg no.925